Agent in KFD -
1. Soft tick
2. Hard tick
3. Louse
4. Bug

Correct answer: 2. Hard tick

Explanation: kyasanur forest disease:- Agent- group B toga virus ( flavivirus). Rats and squirrels- main reservoir Monkeys- amplifier host. Vectors- Haemaphysalis. Age: 20-40 years. Sex- males more Mode of transmission- monkeys and ticks. By the bite of infective ticks ( hard ticks). Incubation period- 3-8 days. {Reference: park's textbook of preventive and social medicine, 23rd edition, pg no.289}